Which of the following drugs causes increase in cAMP levels
1. Somatostatin
2. Beta receptor
3. Alpha receptor
4. Acetylcholine

Correct answer: 2. Beta receptor

Explanation: Beta-adrenergic and alpha adrenergic receptors are G protein-coupled receptors among them, beta receptors are GS PCR- stimulatory type- stimulate adenyl cyclase- increase CAMP alpha 2-inhibitory, alpha1- G q PCR- increasing or decreasing IP3 and DAG levels REF KD tripathi 8th ed